Corneal epithelium is composed of -
1. Stratified keratinized epithelium
2. Stratified non- keratinized epithelium
3. Columnar epithelium
4. Pseudostratified epithelium

Correct answer: 2. Stratified non- keratinized epithelium

Explanation: Corneal epithelium is of stratified squamous type and continuous with epithelium of bulbar conjunctiva at the limbus.It consists of 5-6 layer of cells Reference:Comprehensive ophthalmology,6th edition,pg no.95